Which of the following medications is typically avoided in patients with pheochromocytoma due to the risk of hypertensive crisis?
1. Promethazine
2. Metoclopramide
3. Haloperidol
4. Ondansetron

Correct answer: 2. Metoclopramide

Explanation: For pheochromocytoma patients, METOCLOPRAMIDE is C/I as it can lead to Hypertensive crisis. The gastroprokinetic agent metoclopramide is known to stimulate catecholamine secretion from pheochromocytomas. Metoclopramide is contraindicated in patients with pheochromocytoma due to the risk of hypertensive crisis. Metoclopramide induced hypertensive crisis can be treated with phentolamine. If the patient has emesis, a serotonin 5-HT3 receptor antagonist should be used. Ondansetron does not have any effect on dopamine or norepinephrine